Wernicke encephalopathy is due to deficiency of:
1. Thiamine
2. Biotin
3. Niacin
4. Hydroxycobalamin

Correct answer: 1. Thiamine

Explanation: Ans. A Thiamine* The active form of thiamine (Vitamin B1) is thiamine pyrophosphate which is formed by the transfer of a pyrophosphate group from adenosine triphosphate (ATP) to thiamine.* Thiamine deficiency is diagnosed by an increase in erythrocyte transketolase activity observed on addition of TPP Deficiency of thiamine leads to:* Beriberi: A severe thiamine deficiency syndrome occurs due to intake of polished rice.* Wernicke-Korsakoff syndrome: Associated with chronic alcoholism, which occurs due to dietary insufficiency or impaired dietary absorption of the vitamin. In some alcoholics there is development of Wernicke-Korsakoff syndrome, a thiamine deficiency syndrome characterized by confusion, ataxia and nystagmus with Wernicke's encephalopathy as well as memory problems, hallucination and dementia.